ECT is contraindicated in:
1. Intracranial SOL
2. Pregnancy
3. Cardiac disease
4. Psychosis

Correct answer: 1. Intracranial SOL

Explanation: Intracranial SOL